What stimulates the gonads in the male at 8 weeks to secrete testosterone –
1. Inhibin from corpus luteum
2. GnRH from hypothalamus of baby
3. Placental HCG
4. All of above

Correct answer: 3. Placental HCG

Explanation: During embryogenesis, In male embryo, at the 6-7 week of gestation, secretion of a first anti-mullerian hormone (also k/o Mullerian inhibiting substance) causes regression of Mullerian duct.
Then at 8-12 week, under influence of Placental HCG, testes started producing testosterone.